Most common primary tumor of orbital cavity presenting as proptosis is
1. Cavernous hemangioma
2. Retinoblastoma
3. Malignant melanoma
4. Uveal melanoma

Correct answer: 1. Cavernous hemangioma